Cardiac output of a normal newborn is:
1. 350 ml/kg/mt
2. 150 ml/kg/mt
3. 80 ml/kg/mt
4. 40 ml/kg/mt

Correct answer: 1. 350 ml/kg/mt

Explanation: Ans: a (350 ml/kg/mt) Ref: Nelson, 17th ed, p. 1480; 18th ed, p. 1856Questions were asked from this particular page of Nelson in 2006.07 and 08!!"The newborn cardiac output (about 350 ml/kg/mt) falls over the first 2 months of life to about 150 ml/ kg/min and then gradually to the normal adult cardiac output of about 75 ml/kg/min."